Urine cytology is used for screening of
1. Wilms tumour
2. Renal cell carcinoma
3. Urothelial carcinoma
4. Carcinoma prostate

Correct answer: 3. Urothelial carcinoma

Explanation: Carcinoma of Urinary Bladder Cytoscopy Diagnosis and initial staging is made by cytoscopy and transurethral resection (TUR) Urinary cytology Cytological examination of exfoliated cells are useful in detecting cancer in symptomatic patients and assessing response to treatment Most useful for early diagnosis of recurrence in TCC Exfoliated markers for detection of bladder cancer New Urinary tumor marker like BTA test,urinary nuclear matrix protein (NMP22) can detect cancer specific proteins in urine (BTA/NMP22) Hyaluronidase, Lewis-X-Antigen on exfoliated urothelial cells Determination of telomerase activity in exfoliated cells Have been used to detect new index tumors and recurrent tumors Expected to play important role in near future Ref: Smith's 18th edition Pgno : 313